Lesions of which of the hypothalamic nuclei cause diabetes insipidus?
1. Dorsomedial nuclei
2. Supraoptic and paraventricular nuclei
3. Median preoptic nuclei
4. Ventromedial nuclei

Correct answer: 2. Supraoptic and paraventricular nuclei

Explanation: - Vasopressin, a 9-amino-acid peptide, has both anti-diuretic and vascular pressor activity - It is synthesized in the paraventricular & supraoptic nuclei of the hypothalamus. - Deficiency of Vasopressin causes Diabetes insipidus. - DI results in Polyuria & polydipsia Satiety center Ventromedial nuclei (VMN) Reward centre Medial forebrain bundle Circadian rhythm Suprachiasmatic nucleus Oxytocin Paraventricular nucleus